Which group of nerve fibre is least susceptible to hypoxia?
1. A alpha
2. A beta
3. B
4. C

Correct answer: 4. C

Explanation: Susceptibility Most susceptible Intermediate Least Susceptible Hypoxia B A C Pressure A B C